Dysphagia lusoria is due to-
1. Compression of esophagus by the arch of aorta
2. Compression by the aberrant right subclavian artery
3. Compression by mediastinal thymoma
4. Compression by retrosternal thyroid

Correct answer: 2. Compression by the aberrant right subclavian artery

Explanation: Ans. is 'b' i.e., Compression by the aberrant right subclavian artery Dysphagia lusoriao Dysphagia lusoria is an impairment of swallowing due to compression from an aberrant right subclavian artery (arteria lusoria).Clinical presentationo Most patients with aberrant right subclavian arteries do not have symptoms. Some present with mild dysphagia, while a small minority have a severe enough disturbance in swallowing that leads to inability to swallow and severe nutritional problems.o In children, the most common presentations are stridor and recurrent chest infections, may be due to their tracheal softening comparing to adult population.o The diagnosis of dysphagia lusoria is always difficult and late as the symptoms are often nonspecific and in the same time, diagnostic endoscopy is negative in more than 50% cases, and manometry has no diagnostic roleo Compression of the oesophagus by the aberrant right subclavian artery can be exacerbated by atherosclerosis or aneurysmal dilatation.